Which of the following morphological changes in the lungs would be found in this patient of asthma
1. Destruction and dilation of the bronchi and bronchioles
2. Free air in the interstitium
3. Viscid mucus plugs in the small airways
4. Peribronchiolar fibrosis

Correct answer: 3. Viscid mucus plugs in the small airways

Explanation: In the given case of atopic asthma,airway wall may be thickened and edematous.Another common finding is occlusion of the airway lumen by a mucous plug.,which is comprised of mucous glycoproteins secreted from goblet cells and plasma proteins from leaky bronchial walls.There is also vasodilation and increased numbers of blood vessels (angiogenesis). Ref:Harrison's medicine-18th edition,page no:2104.